Intrinsic muscles of the tongue are derived from ?
1. 2nd branchial cleft
2. Pharyngeal arch mesenchyme
3. Occipital somites
4. Cervical somites

Correct answer: 3. Occipital somites

Explanation: The occipital somites (four to five) give rise to muscles of the tongue. The tongue's embryonic origin is derived from first 4 pharyngeal arches contributing different components. Anterior 2/3rd or body of tongue is derived from 3 lingual buds the median tongue bud (tuberculum impar) and 2 lateral lingual swellings developing at each side of the median tongue bud. 2/3rd of the tongue originates from the first pharyngeal arch. Sensory innervation to this area is by the mandibular branch of the trigeminal nerve. (Taste sensation to the anterior 2/3rd of the tongue is provided by the chorda tympani branch of the facial nerve). Post 1/3rd or root of the tongue is formed from two median elevations. Ref: Human Embryology INDERBIR SINGH 6th Ed Page 98,156.